"Mellanby effect" is seen with
1. Paracetamol
2. Aspirin
3. Alcohol
4. LSD

Correct answer: 3. Alcohol

Explanation: Mellanby effect: Intoxicating effect of alcohol are greater at a given BAC (blood alcohol concentration) when blood alcohol level is increasing than for the same BAC when blood alcohol level is falling.